All are features of chronic arsenic poisoning except
1. Aldrich Mees lines
2. Raindrop pigmentation
3. Burtonian lines
4. Black foot disease

Correct answer: 3. Burtonian lines

Explanation: Cutaneous manifestations of chronic arsenic poisoning Rain drop pigmentation Aldrich Mees lines Black foot disease Perforation of nasal septum Ref: FORENSIC MEDICINE AND TOXICOLOGY Dr PC IGNATIUS THIRD EDITION PAGE 422